Rohr's stria are found in
1. Umbilical cord
2. Placenta
3. Fallopian tube
4. Endometrium

Correct answer: 2. Placenta

Explanation: The syncytium covering the villi and extending into the decidua of intervillous space undergoes fibrinoid degeneration. These are called as White Infarcts Such type of degeneration is usually near the placental margin. There may be inconsistent deposition of fibrin called Rohr's stria at the bottom of the intervillous space and surrounding the fastening villi. Ref: Dutta Obs 9e pg 31.